Breech presentation is mostly mistaken for :
1. Face presentation
2. Brow
3. Shoulder
4. Vertex

Correct answer: 1. Face presentation

Explanation: Face presentation